Greater cornu of hyoid is derived from which branchial arch:
1. I
2. II
3. III
4. IV

Correct answer: 3. III

Explanation: Ans. (c) IIIRef: Inderbir Singh's Embroyology, 7th ed. /119-120* Lower part of hyoid and greater cornu of hyoid is derived from branchial arch III.* Upper part of hyoid and lesser cornu of hyoid is derived from branchial arch II